All are true about salivary gland tumor except:
1. Parotid gland is most common site of involvement
2. Warthin tumour almost always found in the parotid gland
3. Minor gland tumours are mostly malignant
4. Parotid tumours are mostly malignant

Correct answer: 4. Parotid tumours are mostly malignant

Explanation: Ans: D (Parotid tumours...) Tumours of minor salivary glands are histologically similar to those of major glands; however, up to 90 per cent of minor salivary gland tumours are malignant"- L&B 26th/722'Warthin tumour (papillary cystadenoma Lymphomatosum): It arise almost alwaysQ in the parotid gland (the only tumour virtually restricted to the parotid & occur more commonly in male'1 than in female (other tumour more common in female). Oncocytese that are epithelial cell stuffed with mitochondria are found in warthin tumour. (Robbins 7th/792-93)"The parotid gland is the most common site for salivary tumours. Most tumours arise in the superficial lobe and present as slow growing,, painless swellings below the ear, in front of the ear or in the upper aspect of the neck"- L& B 26th/732"Tumours involving the sublingual gland are extremely rare and are usually (85 percent) malignantTreatment requires wide excision involving the overlying mucosa and simultaneous neck dissection"- L & B 26th/725"Tumours of the submandibular gland are uncommon and usually present as a slow-growing, painless swelling within the submandibular triangle.Only 50 per cent of submandibular gland tumours are benign, in contrast to 80-90 per cent of parotid gland tumours"- L & B 26th/728TablefL & B 26th/728): Salivary gland tumours - frequency and distribution.TypeLocationFrequencyMalignant (%)MajorParotidSubmandibularSublingualCommonUncommonVery rate10-205085MinorUpper aerodigestive tractRare90PLEOMORPHIC ADENOMA (MIXED TUMOUR)This is the commonest tumour0 of the major salivary glandsThis tumour most commonly(r) occur in the parotid & about 90% isseen in thisgland\7% is seen in submandibulargland. In the parotid the commonest location is the tail of parotid.Age : It is more frequent around 40 years of age, but it is also seen in childrenSex : Slightly higher incidence in woman(r) has been noticedSymptom : The patients complains of a painless swelling of the side of the face which has been present for months or years. It is a slow growing turnout^ & gradually increases in size.This tumour is radioresistant(r), so excision is the treatment of choice.Superficial parotidectomy(r) is the treatment of choice(r). This operation is also known as patey's operation (S. Das 5th/609)In case of submandibular gland neoplasms, the whole gland is excised with particular care to preserve the lingual & hypoglossal nerve.